Acetazolamide acts at
1. PCT
2. DCT
3. Ascending loop of Henle
4. Descending loop of Henle

Correct answer: 1. PCT

Explanation: Acetazolamide is a reversible inhibitor of the carbonic anhydrase enzyme that results in the reduction of hydrogen ion secretion at the renal tubule and increased renal excretion of sodium, potassium, bicarbonate, and water by inhibiting the enzyme CA